"Debridement"- meaning of this French word is
1. Cut open
2. Debulk
3. Sanitize
4. Rehydration

Correct answer: 1. Cut open

Explanation: Ans. (a) Cut openRef Bailey and Love 27th edition Page 415* Debridement- Derived from FRENCH word "Unleash or Cut open"* Debridement reduces the chances of anaerobic and necrotizing infections and can prevent systemic sepsis.